. In control of communicable diseases, the period of quarantine in respect of a disease is determined by-
1. Incubation period
2. Infectivity period
3. Duration of illness
4. Carrier state

Correct answer: 1. Incubation period